Which of the following drugs could be prescribed for a child who suffer from night terrors?
1. Meprobamate
2. Clonazepam
3. Lithium
4. Amphetamine

Correct answer: 2. Clonazepam

Explanation: Clonazepam is a benzodiazepine. Besides being useful for seizure disorders, including petit mal, it is an antianxiety agent and helps to relieve night terrors. Meprobamate, one of the earliest antianxiety agents, has been largely replaced by the benzodiazepines. Lithium is used for the treatment of bipolar disease. Amphetamine can produce a calming effect with long-term therapy in hyperkinetic syndrome.